Axonemes are associated with:
1. Mitochondria
2. Ribosome
3. Peroxisome
4. Cilia

Correct answer: 4. Cilia

Explanation: Within the cilium there is an axoneme that comprises a unique arrangement of nine outer microtubule doublets and two inner microtubules ("9+2" arrangement). Ref: Ganong's Review of Medical Physiology 23rd edition, Chapter 2.